The most reliable single histologic criterion for diagnosis of oral squamous cell carcinoma is:
1. Invasion
2. Degeneration
3. Pleomorphism
4. Encapsulation

Correct answer: 1. Invasion